Condyloma acuminatum is caused by
1. HPV
2. CMV
3. LGV
4. HBV

Correct answer: 1. HPV

Explanation: (A) HPV # Condyloma acuminatum refers to an epidermal manifestation attributed to the epidermotropic human papillomavirus (HPV). Approximately 90% of condyloma acuminata are related to HPV types 6 and 11.> These 2 types are the least likely to have a neoplastic potential. Risk for neoplastic conversion has been determined to be moderate (types 33, 35, 39, 40, 43, 45, 51-56, 58) or high (types 16, 18), with many other isolated types.> Buschke-Lowenstein tumor (i.e., giant condyloma) is a fungating, locally invasive, low-grade cancer attributed to HPV.